Topical steroids are used in treatment of
1. Fungal keratitis
2. Disciform keratitis
3. Viral keratitis
4. Pyogenic keratitis

Correct answer: 2. Disciform keratitis